All of the following can be classified as myofunctional appliances, except:
1. Anterior bite plane
2. Andersen appliance
3. Begg appliance
4. Oral screen

Correct answer: 3. Begg appliance

Explanation: Begg's appliance is a fixed orthodontic appliance.